Cavett test is used for detection of
1. Opiates
2. Alcohol
3. Barbiturates
4. Cocaine

Correct answer: 2. Alcohol

Explanation: Test for alcohol :

Cavett test
Kozelka and thine test
Alcohol dehydrogenase test
Gas chromatography (Most specific)